Dementia is seen in all except:
1. Schizophrenia
2. Alzheimer's disease
3. Huntington's chorea
4. Pick's ds

Correct answer: 1. Schizophrenia

Explanation: A i.e. Schizophrenia